Cervical part of esophagus all are true except-
1. Arise at cricoid level
2. Site of portosystemic anastomosis
3. Foreign body obstruction common at this level
4. Striated muscle fibres positive

Correct answer: 2. Site of portosystemic anastomosis

Explanation: Ans. is 'b' i.e., Site of portosystemic anastomosis o Portosystemic (Porto caval) anastomosis is seen in lower part (abdominal part) of esophagus,o Cervical esophagus begins at lower border of cricoid cartilage (at C$ vertebral level) as a downward continuation of pharynx.o Muscularis externa of cerv ical esophagus contains only skeletal muscle (striated muscle) fibers,o Foreign body obstruction is common in this part of esophagus.